The artefact seen in a case of suicidal complete hanging is
1. Transverse tears in carotids
2. Oesophageal banding
3. Dribbling of saliva
4. Unequal pupils

Correct answer: 2. Oesophageal banding

Explanation: Banding of the oesophagus is an artefact & non specific. These bands are pale areas in the mucosa caused by postmortem hypostasis being prevented from settling by the external pressure of larynx & trachea.